The earliest sign of foetal life is best detected b:
1. Doppler
2. Rcal time ultrasound
3. Fetoscopy
4. X-ray

Correct answer: 2. Rcal time ultrasound

Explanation: Ans. Rcal time ultrasound